Not a component of Brain stem
1. Mid brain
2. Pons
3. Medulla
4. Spinal cord

Correct answer: 4. Spinal cord

Explanation: Brainstem
1. Medulla:responsible for regulating and/ or coordination of:
- Blood pressure.
- Breathing.
- Swallowing.
- Coughing.
- Vomiting.
2. Pons : participates in respiratory regulation and the relay of information from cerebral hemispheres to the cerebellum.
3. Midbrain : participates in coordination of visual and auditory systems.